Adenomatoid odontogenic tumour is characterized histologically by
1. Polyhedral epithelial cells
2. Tubular / duct like cells
3. Stellate shaped cells
4. Stratified squamous epithelial cells

Correct answer: 2. Tubular / duct like cells